Roopa Devi, a 65-year-old female with ovarian cancer is being treated with cisplatin-bassed chemotherapy. All of the following are used to limit the toxicity of cisplatin except:
1. N-acetylcysteine
2. Slow rate of infusion
3. Chloride diuresis
4. Amifostine

Correct answer: 1. N-acetylcysteine

Explanation: (Ref: Harrison 18th/697) The patient de3scribed in the question has hemorrhagic cystitis caused by drugs like cyclophospamide or ifosfamide is caused by the urinary excretion of the toxic metabolite acrolein. This can be prevented by aggressive hydration, bladder irrigation, and administration of mesna, a sulfhydryl compound that binds acrolein in the urine.